A 65 year old female presents with recurrent episodes of gross painless hematuria. What is the most common cause of gross painless hematuria?
1. Renal tuberculosis
2. Ca bladder
3. Urethral stricture
4. Intestinal nephritis

Correct answer: 2. Ca bladder

Explanation: Gross painless hematuria is the most common presenting sign of bladder cancer. Other symptoms includes irritative voiding symptoms such as frequency, urgency and dysuria. Microscopic hematuria is mainly nephrologic in origin whereas gross hematuria is commonly urologic in origin. Reference: Conn's Current Therapy 2012, page 894.